Which study is best for group/ population which is inhomogeneous?
1. Cluster Sampling
2. Stratified random sampling
3. Systemic random sampling
4. Simple random sampling

Correct answer: 2. Stratified random sampling

Explanation: .in STRATIFIED RANDOM SAMPLING,the sample is deliberately drawn in a systematic way so that each portion of sample represents a corresponding strata of universe.this method is particularly useful where one is interested in analysing the data by a certain characteristic of population.like hindus,christians,muslims,age groups etc.as we know these groupa are not equally distributed in apopulation ,that is inhomogenous.greek letters are used to refer to population charactrs while roman letters are used for sample characteristics. ref:park's textbook,ed 22,pg no 793